Which one of the following provides hemodynamic stability and prolongs survival in congestive heart failure?
1. Lisinopril
2. Furosemide
3. Digoxin
4. Milrinone

Correct answer: 1. Lisinopril